Structure with highest refractive index
1. Cornea
2. Lens
3. Aqueous humor
4. Vitreous humor

Correct answer: 2. Lens

Explanation: Lens - 1.41 Aqueous humor - 1.34 Cornea - 1.38 Vitreous humor - 1.34